1st to go into rigor mortis is ?
1. eye lid
2. heart
3. neck
4. face

Correct answer: 2. heart

Explanation: order of appearance of rigor mortis is NYSTENS RULE 1st to go in to rigor mortis is - heart 1st in voluntary muscles is - eye lids--> neck --> face--> trunk-->toes- ref : narayanareddy